Capgras syndrome is
1. delusion of marital infedility
2. delusion of love
3. delusion of persecution
4. delusion of doubles

Correct answer: 4. delusion of doubles

Explanation: o Delusion that a familiar person is replaced by an imposter This is more common in Alzeimers demetia and organic conditions. ref.kaplon and sadock, synopsis of psychiatry, 11 th edition, pg No.333